In a healthy individual on a normal diet, which of the following ion is completely absorbed in tubules
1. Na+
2. K+
3. Cl-
4. HCO3-

Correct answer: 4. HCO3-

Explanation: Total reabsorption in tubules
Glucose- 100%
Amino acids- 100%
HCO3-- 100%
Na+- 99.4%
K+- 93.3%
Cl-- 99.2%